Cervical cancer is mostly caused by:
1. HPV 6
2. HPV 16
3. HPV 31
4. HPV 56

Correct answer: 2. HPV 16

Explanation: Risk factors for development of cervical cancer HPV 16: Most common 18: most malignant HSV 1 and 2 HIV 1 and 2 Commercial sex worker Women with many sex partners Partner with STD Early intercourse (<16 yrs) Low Socio Economic status Smokers